The physical half life of radioactive I131 is:
1. 8 hrs
2. 8 days
3. 16 days
4. 60 days

Correct answer: 2. 8 days

Explanation: Half life of radioactive I131 is 8 days. It can cause irreversible hypothyroidism. It is contra-indicated in pregnancy.